Intrauterine exposure of diethylstiboesterol is associated with -
1. Squamous cell carcinoma of cervix
2. Adenocarcinoma of endometrium
3. Clear cell adenocarcinoma of vagina
4. Sarcoma of uterus

Correct answer: 3. Clear cell adenocarcinoma of vagina

Explanation: Ans. is 'c' i.e., Clear cell adenocarcinoma of vagina